A 25-year-old woman has recently moved to a new city. She comes today for her first routine visit and annual physical assessment. She feels well, reports no new symptoms, and her past medical history is negative. Her only medication is the oral contraceptive pill; she is currently in university and drinks on a social basis. She reports smoking in her teens but quit 7 years ago. The physical examination is completely normal. She asks you about screening tests for cancer at her age. Which of the following cancer screening tests are recommended for her age group?
1. mammography every 5 years
2. Pap smear at least every 3 years
3. stool for occult blood
4. chest x-ray (CXR) every 3 years

Correct answer: 2. Pap smear at least every 3 years

Explanation: There is universal agreement on the need for regular Pap smears in young women. There is no need to screen for colon cancer (fecal occult blood) or lung tumors (CXR), particularly at this age. Mammography, if indicated for screening, would be only for older women. Many authorities recommend breast self-examination as well as physical examination by a physician.